Which of the following represents the additional component in pentalogy of Fallot?
1. Atrial Septal Defect (ASD)
2. Ventricular Septal Defect (VSD)
3. Right ventricular Hypertrophy (RVH)
4. Pulmonic Stenosis

Correct answer: 1. Atrial Septal Defect (ASD)

Explanation: a. Atrial Septal Defect (ASD)(Ref: Nelson's 20/e p 2211-2217, Ghai 8/e p 420-423)Pentalogy of Fallot = Tetralogy of Fallot + Atrial Septal defect.